Murder is.............. offence.
1. Cognizable, non-compoundable and non-bailable
2. Cognizable, compoundable and bailable
3. Non-cognizable, non-compoundable and non-bailable
4. Non-cognizable, compoundable and bailable

Correct answer: 1. Cognizable, non-compoundable and non-bailable

Explanation: Ans: (a) Cognizable, non-compoundable and non-bailableRef: The First Schedule, Classification of Offences, Indian Penal CodeCognizable offencesCognizable offences are more serious crimes wherein police can arrest the suspect without any warrant.Ex. rape, murder, ragging, dowry death etc.Compoundable offencesCompoundable offences are those offences where, the complainant (one who has filed the case, i.e., the victim), enter into a compromise and agrees to have the charges dropped against the accused.Bailable offencesBailable offences are less serious crimes wherein the suspect can be released from custody by furnishing a bond on bail.